Which of the following pairs of enzymes is required for the process of gluconeogenesis?
1. Fructose-1,6-bisphosphatase and pyruvate carboxylase
2. Glucose-6-phosphatase and phosphofructokinase-1
3. Glucose-6-phosphatase and pyruvate dehydrogenase
4. Phosphoenolpyruvate carboxykinase and glucokinase

Correct answer: 1. Fructose-1,6-bisphosphatase and pyruvate carboxylase

Explanation: The three irreversible steps of glycolysis are catalyzed by hexokinase, phosphofructokinase-1 (choice B), and pyruvate kinase. In gluconeogenesis, other enzymes are needed to bypass these key steps. Pyruvate cannot be directly converted to phosphoenolpyruvate in gluconeogenesis. Therefore, pyruvate carboxylase (a mitochondrial enzyme;) converts pyruvate to oxaloacetate, which can be converted to phosphoenolpyruvate by phosphoenolpyruvate carboxykinase using two ATP equivalents per molecule of phosphoenolpyruvate. Fructose-1,6-bisphosphataseis the enzyme that splits fructose-1,6-bisphosphate into fructose-6-phosphate and inorganic phosphate. It is also required for gluconeogenesis. Glucose-6-phosphatase is a liver enzyme that hydrolyzes glucose-6-phosphate to glucose. A deficiency of this enzyme leads to von Gierke disease, also known as glycogen storage disease type I. Pyruvate dehydrogenase is a mitochondrial enzyme that converts pyruvate to acetyl CoA. This enzyme requires thiamine pyrophosphate, lipoamide, and FAD as cofactors. Glucokinase is a liver enzyme that converts glucose to glucose-6-phosphate. Unlike hexokinase, it is specific for glucose and is unresponsive to the level of glucose-6-phosphate. Its function is to store excess glucose, so it has a very high Km (ie, a low affinity) for glucose, becoming active only when the concentration of glucose is very high. Ref: Bender D.A., Mayes P.A. (2011). Chapter 20. Gluconeogenesis & the Control of Blood Glucose. In D.A. Bender, K.M. Botham, P.A. Weil, P.J. Kennelly, R.K. Murray, V.W. Rodwell (Eds), Harper's Illustrated Biochemistry, 29e.